Finkelstein's test is positive in:
1. Perilunate dislocation
2. Scaphoid fracture
3. Dislocation of shoulder
4. Dequervain's tenosynovitis

Correct answer: 4. Dequervain's tenosynovitis

Explanation: Ans. D. Dequervain's tenosynovitisDequervain's disease which is stenosing tenosynovitis of the first extensor compartment of the forearm at the level of the wrist. The physician grasps the patient's thumb and fingers holding the forearm with the other hand then quickly deviates the wrist to the ulnar side, this causes severe pain over the styloid process of the Radius. This is Finkelstein's test.